Appropriate statistical test to compare two proportions
1. Chi-square test
2. Student's t-test
3. Odds ratio
4. Correlation coefficient

Correct answer: 1. Chi-square test

Explanation: Ref:Parks 23rd edition pg 852 Here, proportion is a Qualitative measure, so we use Chi-square. Tests of significance: Qualitative: Chi- square : 2 or more than 2 groups Mc Nemar test : 1 group. ( before and after intervention) Quantitative: Paired T test: 1 group Student T test/ unpaired T test: 2 groups Anova: more than 2 groups.